Main-Gruber connections are
1. Median and axillary nerve
2. Axillary & radial nerves
3. Radial & ulnar nerve
4. Median & ulnar nerve

Correct answer: 4. Median & ulnar nerve

Explanation: D i.e. Median & ulnar nerve